Which of the following side effect is associated with Spironolactone
1. Alkalosis
2. Hirsutism
3. Hyperkalemia
4. Hyperglycemia

Correct answer: 3. Hyperkalemia

Explanation: Spironolactone is an aldosterone antagonist that inhibits sodium resorption in the distal convoluted tubule of the kidney. Use of spironolactone may be limited by hyponatremia, hyperkalemia, and painful gynecomastia.If the gynecomastia is distressing, amiloride (5-40 mg/d) may be substituted for spironolactone.Reference: Harrison's Principles of Internal Medicine; 19th edition; Chapter 60e; Dysuria, Bladder Pain, and the Interstitial Cystitis/Bladder Pain Syndrome